In base metal alloys, corrosion resistance occurs due to
1. Passivity
2. High fusion temperature
3. High molecular weight
4. Co-efficient of thermal expansion

Correct answer: 1. Passivity